O2 dissociation curve is shifted to right in all except:
1. Hypercapnea
2. Rise in temperature
3. Raised2, 3 DPG level
4. Metabolic alkalosis

Correct answer: 4. Metabolic alkalosis

Explanation: D i.e. Matabolic alkalosis